After vaccination againts Japanese encephalitis immunity developes in -
1. 30 days
2. 7 days
3. 10 days
4. 21 days

Correct answer: 1. 30 days

Explanation: Protective immunity develops in about one month time after the second dose.Ref.PARK'S TEXTBOOK OF PREVENTIVE AND SOCIAL MEDICINE 21st edition page no 261